Principle of X-ray production used in diagnostic and therapeutic radiation devices is
1. Thermionic emission
2. Nuclear fission
3. Boron neutron capture
4. Annihilation

Correct answer: 1. Thermionic emission

Explanation: Conventional x-ray tube consists of a glass envelope which has been evacuated to high vacuum. At one end is a cathode (negative electrode) and at the other an anode (positive electrode), both hermetically sealed in the tube. The cathode is a tungsten filament which when heated emits electrons, a phenomenon known as thermionic emission. The anode consists of a thick copper rod, at the end of which is placed a small piece of tungsten target. When a high voltage is applied between the anode and the cathode, the electrons emitted from the filament are accelerated toward the anode and achieve high velocities before striking the target. The x-rays are produced by the sudden deflection or acceleration of the electron caused by the attractive force of the tungsten nucleus.Reference: Eric J Hall Textbook of Radiobiology for Radiologist; 5th edition